Menopausal ovary shows
1. Preponderance of primordial follicles
2. Persistent corpora albicans
3. Decreased atretic follicles
4. Decreased corpora albicans

Correct answer: 2. Persistent corpora albicans

Explanation: Menopausal ovary shows abundant atretic follicles and persistent corpora albicans.